Most potent stimulus for renin release is -
1. Sympathetic stimulation
2. Decreased NaCl in DCT
3. Prostacycline
4. Hypotension

Correct answer: 4. Hypotension

Explanation: Ans. is 'd' i.e., Hypotension o Hypotension causes reduced renal perfusion pressure - most powerful stimulus for renin release.